A 40 year old patient has a dry eye and reduced nasal secretions. On routine examination CNS system was normal. The location of a lesion might be in the
1. Otic ganglion
2. Sphenopalatine ganglion
3. Ciliary ganglion
4. Superior cervical ganglion

Correct answer: 2. Sphenopalatine ganglion

Explanation: The sphenopalatine ganglion (or pterygopalatine ganglion) is a parasympathetic ganglion found in the pterygopalatine fossa.
It takes care of several glands like LNP – lacrimal, nasal & palatine glands
The pterygopalatine ganglion (ganglion of Meckel), the largest of the parasympathetic ganglia associated with the branches of the trigeminal (maxillary branch) nerve, is deeply placed in the pterygopalatine fossa, close to the sphenopalatine foramen.